Onion skin spleen is seen in -
1. ITP
2. Thalassemia
3. SLE
4. Scleroderma

Correct answer: 3. SLE

Explanation: In spleen the central peniciliary arteries show thickening and perivascular fibrosis, producing so called Onion Skin lesions.